Which of the following is the most effective drug against M. leprae ?
1. Dapsone
2. Rifampicin
3. Clofazamine
4. Prothionamide

Correct answer: 2. Rifampicin

Explanation: Rifampicin is the only bactericidal drug amongst the anti leprosy drugs & can render Leprosy rapidly non contagious. It acts by inhibiting mycobacterial DNA dependent RNA synthesis. Ref: Essentials of Medical Pharmacology By KD Tripathi, 5th Edition, Pages 700, 709-11, 713.